Wilson's disease is characterized by the deposition of one of the following minerals in the tissue
1. Fe
2. Cu
3. Hg
4. F

Correct answer: 2. Cu

Explanation: (B) Cu # Wilsons' disease (hepatolenticular degeneration):# A rare disorder of abnormal copper metabolism and is characterized by the following manifestations:> Copper is deposited in abnormal amounts in liver and lenticular nucleus of brain.> This may lead to hepatic cirrhosis and brain necrosis> Low levels of copper and ceruloplasmin in plasma with increased excretion of copper in urine.> Copper deposition in kidney causes renal damage.> This leads to increased excretion of amino acids, glucose, peptides and hemoglobin in urine.> Intestinal absorption of copper is very high, about 4-6 times higher than normal.